Scorpian venom resembles venom of -
1. Cobra
2. Viper
3. Krait
4. All of the above

Correct answer: 4. All of the above

Explanation: Ans. is 'd' i.e., All of the above o The venom of scorpion can be classified as -Haemolytic : If the scorpion has haemolytic venom, the symtoms of scorpion bite simulate the vasculotoxic snake (viper).Neurotoxic : If the scorpion has neurotoxic venom, the symptoms of scorpion bite simulate the neurotoxic snakes (cobra and krait).o The toxicity of scorpion venom is more than that of snakes, but only small quantity is injected,o The mortality, except in children, is negligible.